Which among the following doesn't enter human body via skin?
1. Ancyclostoma
2. Strongyloides
3. Trichinella
4. Necator

Correct answer: 3. Trichinella

Explanation: ANSWER: (C) TrichinellaREF: Jawetz, Melnick, & Adelbergs Medical Microbiology, 24TH edition chapter 46 Table 46-4Indirect repeat in December 2011, See APPENDIX-74 below for "DISEASES DUE TO HELMINTHS""Trichinella-infected by ingestion of undercooked pork which contains encysted larvae in the striated muscle"Skin penetration is seen in:Hookworms; Ancylostoma duodenale, Necator americanusStrongyloidesSchistosoma (Cercariae larvae) APPENDIX-74Jawetz, Melnick, & Adelberg s Medical Microbiology, 24TH edition chapter 46 Table 46-4DISEASES DUE TO HELMINTHS:Disease and ParasiteLocation in HostMode of TransportationTreatment of ChoiceAscariasisSmall intestine; larvae through lungsEating viable eggs from feces-contaminated soil or foodMebendazole, pyrantel pamoateAscaris lumbricoides (N), common roundwormCapillariasisCapillaria philippinensis (N)Small intestine (mucosa)Undercooked marine fishMebendazole, albendazoleClonorchiasisClonorchis sinensis (T), Chinese liver flukeLiver (bile ducts)Undercooked freshwater fishPraziquantel, albendazoleCysticercosis (bladder worm)Subcutaneous; eye, meninges, brain, etcIngestion of eggs or regurgitation of gravid proglottid from lower GI tractSurgical excision, albendazole, praziquantelTaenia solium (larval) (C) DracunculiasisDracunculus medinensis (N), Guinea wormSubcutaneous; usually the leg, footDrinking water with CyclopsMechanical or surgical extraction, metronidazole, mebendazoleEchinococcosis, hydatidosisEchinococcus granulosus (larval) (C), unilocular hydatid cystLiver, lung, brain, peritoneum, long bones, kidneyContact with dogs, foxes, other canids; eggs from fecesSurgical aspiration and excision, albendazoleEchinococcus multilocularis (larval) (C), alveolar (multiocular) hydatid cystsLiverFox fur trappers--from contact with fecal matter in furSurgical excision, possible albendazole or mebendazoleEnterobiasisEnterobius vermicularis (N), pinwormCecum, colon (lumen)Anal-oral; self-contamination and internal reinfectionPyrantel pamoate, mebendazole, albendazoleFascioliasisFasciola hepatica (T), sheep liver flukeLiver (bile ducts, after migration through parenchyma)Watercress, aquatic vegetationBithionol, triclabendazoleFasciolopsiasis Fasciolopsis buski (T), giant intestinal flukeSmall intestineAquatic vegetationPraziquantelFilariasisWuchereria bancrofti, Brugia malayi (N), human filarial wormslymph nodes; microfilariae in bloodBite of mosquitoes; several speciesDiethylcarbamazine, ivermectin (experimental)Filariasis, occultDirofilaria species (N), heartwormLungs (larvae)infected mosquitoesDiethylcarbamazine, mebendazole, ivermectin, or not treatedHookwormsAncylostoma duodenale, Necator americanus (N)Small intestine; larvae through lungsThrough skin, infected soil, from drinking contaminated water (Ancylostoma)Mebendazole, pyrantel pamoate, albendazoleLarva migrans: Cutaneous, creeping eruptionSubcutaneous, migrating larvaeContact with soil contaminated by dog or cat fecesThiabendazole, albendazole, ivermectinAncylostoma braziliense and other domestic animal hookworms (N) VisceralToxocara species (N), cat and dog roundworms Loiasis Loa loa (N)Liver, lung, eye, brain, other viscera; migrating larvae Subcutaneous, migratory; the surface of the eye. Microfilariae in bloodIngesting soil contaminated by dog or cat fecesThe bite of deer flies, ChrysopsDiethylcarbamazine, mebendazole, albendazoleSurgical removal, diethylcarbamazine,or not treatedOnchocerciasisOnchocerca volvulus (N), nodular or blinding wormSubcutaneous; microfilariae in the skin, eyesBite of black fly SimuliumSurgery, ivermectinOpisthorchiasisOpisthorchis felineus, Opisthorchis viverrini (T), Asian liver flukesLiver (bile duct)Uncooked fishPraziquantelParagonimiasisParagonimus westermani (T), lung fluke (several species) SchistosomiasisLung (paired worms in cyst), brain, other sitesRaw crabs and other freshwater crustaceansPraziquantel, bithionolSchistosoma haematobium (T), schistosomes or bilharzia worms, blood flukes; vesicular blood flukeVenous vessels of the urinary bladder, large intestine, liverCercariae (larvae) penetrate the skin in snail-infested waterPraziquantelSchistosoma japonicum (T), Japanese blood fluke Schistosoma mansoni (T), Manson's blood fluke Schistosoma mekongi (T), Mekong blood flukeVenous vessels of intestine; liver Venous vessels of colon, rectum; liverVenous vessels of intestine; liverCercariae (larvae) penetrate the skin in snail-infested water Cercariae (larvae) penetrate the skin in snail-infested water Cercariae (larvae) penetrate the skin in snail-infested waterPraziquantelPraziquantel,oxamniquinePraziquantelStrongyloidiasisStrongyloides stercoralis (N), threadworm Tapeworm disease (see also Cysticercosis, Hydatidosis, Echinococcosis, Sparganosis); taeniasisDuodenum, jejunum; larvae through the skin, lungsThrough skin and (rarely) by internal autoinfectionThiabendazole(experimental),ivermectinDiphyilobothrium latum (C), broad fish tapewormSmall intestineUncooked freshwater fishPraziquantelDipylidium caninum (C), dog tapewormSmall intestineIngestion of crushed fleas, lice from petsPraziquantelHymenolepis diminuta (C), rat tapewormSmall intestineIngestion from rats, mice via infected insectsPraziquantelHymenolepis nana (C), dwarf tapewormSmall intestineAnal-oral transfer of eggs or infection of infected insects; internal reinfectionPraziquantelTaenia saginata (C), beef tapewormSmall intestineUncooked beefPraziquantelTaenia solium (C), pork tapeworm (see also Cysticercosis)Small intestineUncooked porkPraziquantelTrichinosisLarvae in striated muscle {coiled within enlarged fiber cell)Uncooked porkMebendazole (plus steroids for severe symptoms)Trichinella spiralis (N), trichina worm TrichuriasisTrichuris trichura (N), whipwormCecum; colonIngestion of eggs from feces-contaminated soilMebendazole, albendazoleC = cestode (tapeworm); N = nematode (roundworm); T = trematode (fluke).